Febrile response in CNS is mediated by?
1. Bacterial toxin
2. IL-1
3. IL-6
4. All

Correct answer: 4. All

Explanation: Ans. is 'a' i.e., Bacterial toxin; 'b' i.e., IL-1; 'c' i.e., IL-6 Pyrogenes Pyrogenes are substances that cause fever. Pyrogens may be exogenous or endogenous Exogenous --> Bacterial toxins Endogenous --> IL-1, TNF-a, IL-6, Interferons, Ciliory's neurotropic factor These pyrogenes increase the level of PGE2 in the hypothalamus that elevates the thermoregulatory set point and causes fever.